Digitalis produces which of the following changes in ECG ?
1. Tall T waves
2. ST segment elevation
3. Prolonged QT interval
4. Prolonged PR interval

Correct answer: 4. Prolonged PR interval

Explanation: Ans. is 'd' i.e., Prolonged PR interval o There are some characteristic ECG changes by digitalis use, some of which occur at therapeutic concentration and some occurs at toxic level :1. At therapeutic levelo Prolongation of PR intervalo Scooping of ST segment - Also known as digitalis wave or dig sag there is down sloping ST depression (initially)o Shortening of QT intervalo Decreased T wave ampiitude/or T wave inversion2. At toxic level: Above changes are amplifiedo Prolongation of PR interval - conduction block may occuro T wave inversiono ST depressiono QT interval shortens furthero Increased automaticity - Arrhythmias